Serous demilunes is present in
1. Serous glands
2. Mucous glands
3. Mixed glands
4. All salivary glands

Correct answer: 3. Mixed glands

Explanation: When the gland has this demilunar structure, it produces both serous and mucous secretions, and is thus classified as "mixed".